The commonest histological finding in Hypertensive Nephrosclerosis is
1. Proliferative endarteritis
2. Necrotizing arteriolitis
3. Hyaline arteriosclerosis
4. Cystic medial necrosis

Correct answer: 3. Hyaline arteriosclerosis

Explanation: "Hypertensive Nephrosclerosis"Lesser degrees of hypertension induce less severe, but prevalent changes in kidney vessels and loss of kidney function; a large portion of patients reaching ESRD without a specific etiologic diagnosis are assigned the designation "hypertensive nephrosclerosis".Characterised by afferent arteriolar thickening with deposition of homogeneous eosinophilic material (hyaline arteriolosclerosis) associated with narrowing of vascular lumina.Similar vessel changes are associated with aging, dyslipidemia, and glucose intolerance. Antihypertensive therapy slows the progression of proteinuric kidney diseases and reduces the excessive cardiovascular risks associated with CKD, but it does not alter the course of kidney dysfunction identified specifically as hypertensive nephrosclerosis.Ref: Harrison's 18/e p2047